Which of the following fatty acid is a precursor of arachidonic acid?
1. Linoleic acid
2. Linolenic acid
3. Oleic acid
4. Palmitoic acid

Correct answer: 1. Linoleic acid

Explanation: Arachidonic acid is a 20-carbon polyunsaturated fatty acid (5,8,11,14-eicosatetraenoic acid) that is derived from dietary sources or by conversion from the essential fatty acid linoleic acid. Ref: Robbins 8th edition, Chapter 2.